True regarding conivaptan is
1. Vasopressin antagonist
2. V2 selective action
3. Oral drug
4. Treatment of hypernatremia

Correct answer: 1. Vasopressin antagonist

Explanation: vasopressin receptor antagonists interfere with action at the vasopressin receptors. Used in the treatment of hyponatremia, especially in patients with congestive heart failure, liver cirrhosis or SIADH. EG conivaptan, tolvaptan, lixivaptan, satavaptan REF KD Tripathi 8th ed